A six-year molar begins to calcify at:
1. Six months IU
2. At birth
3. 1 year after birth
4. 3 years age

Correct answer: 2. At birth